The critical angle of cornea-air interface is:
1. 36o
2. 46o
3. 56o
4. 66o

Correct answer: 2. 46o

Explanation: Cornea air interface is 46 degree.